The following are related to preeclampsia:
1. It is a totally preventable disease
2. Systolic rise of blood pressure is more important than the diastolic
3. Eclampsia is invariably preceded by acute fulminating preeclampsia
4. Endothelial dysfunction is the basic pathology

Correct answer: 4. Endothelial dysfunction is the basic pathology

Explanation: Thr changes occuring during the preeclampsia are thought to be tge consequences of vasospasam,endothelial dysfunction and ischemia. Refer page no 256 of Text book of obstetrics,sheila balakrishnan,2 nd edition.